Hypersensitivity reaction to penicillin is covered under which doctrine?
1. Res Ipsa Loquitur
2. Therapeutic Misadventure
3. Calculated Risk doctrine
4. Novus actus interveniens

Correct answer: 2. Therapeutic Misadventure

Explanation: Therapeutic Misadventure : Injury or death of the patient due to unintentional / inadvertent act by doctor.
Hypersensitivity reaction to drugs comes under this doctrine.